Basal cell carcinoma is seen in most commonly in which eyelid-
1. Upper medial
2. Upper lateral
3. Lower medial
4. Lower lateral

Correct answer: 3. Lower medial

Explanation: Lower lid (50%) followed by medial canthus (25%),upper lid (10-15%),outer canthus (5-10%) Ref.ak khurana 6th edition pg no 384